Most common site of Morgagni hernia :
1. Right anterior
2. Right posterior
3. Left anterior
4. Left posterior

Correct answer: 1. Right anterior

Explanation: Ans. is 'a' i.e. Right anterior Morgagni hernia is a rare form of cong. diaphragmatic hernia occurring through foramen of Morgagni or space of Larrey i.e. space between the sternal and costal origins of the diaphragm)It is more common on right side.Usually it is asymptomaticMost common viscera to herniate through space of Morgagni is transverse colon (Bailey & Love, 24/e, p 873)Also knowSuperior epigastric vessels pass through foramen of Morgagni